The earliest sign of iron deficiency anemia
1. Increase in iron binding capacity
2. Decrease in serum ferritin level
3. Decrease in serum iron level
4. All the above

Correct answer: 2. Decrease in serum ferritin level

Explanation: Ans. is 'b' decrease in serum ferritin In iron deficiency anaemia the first change is decrease in iron stores.The decrease in iron stores is demonstrated by decreased serum ferritin level.Remember serum ferritin reflects the amount of storage iron in the body*